Which of the following is a scrub typhus vector?
1. Trombiculid mite
2. Louse
3. Tick
4. Reduviid bug

Correct answer: 1. Trombiculid mite

Explanation: Scrub typhus Infection is seen in the Far East, especially Myanmar (Burma), India, Sri Lanka, New Guinea, Japan, and Taiwan. The larval stage (chigger) of various trombiculid mites serves both as a reservoir, through transovarial transmission, and as a vector for infecting humans and rodents. Ref: Brooks G.F., Carroll K.C., Butel J.S., Morse S.A., Mietzneron T.A. (2010). Chapter 26. Rickettsia & Ehrlichia. In G.F. Brooks, K.C. Carroll, J.S. Butel, S.A. Morse, T.A. Mietzneron (Eds), Jawetz, Melnick, & Adelberg's Medical Microbiology, 25e.